Lysogenic conversion is -
1. New properties in a bacterium due to integration of phage genome
2. Transfer of DNA from one bacterium to another by a bacteriophage
3. Transfer of free DNA
4. Transfer of genome during physical contact

Correct answer: 1. New properties in a bacterium due to integration of phage genome

Explanation: New properties in the bacterium is due to integration of phage genome REF:MICROBIOLOGY ANANTHA NARAYANAN NINTH EDITION PAGE.60